Which of the following vitamin deficiency cause triad of mental confusion, ophthalmoplegia & ataxia:
1. Vit B2
2. Vit B1
3. Vit B6
4. Vit C

Correct answer: 2. Vit B1

Explanation: Ans: b. Vit Bl Classically, Wernicke's encephalopathy is characterized by the triad of ophthalmoplegia, ataxia, and mental confusion, but confusion & a staggering gait are perhaps most common"-Synopsis of Psychaitry by (Kaplan 11th/796-799)Thiamine deficiency in its early stage induces anorexia and nonspecific symptoms (e.g., irritability, decrease in short-term memory). Alcoholic patients with chronic thiamine deficiency also may have central nervous system (CNS) manifestations known as Wernicke's encephalopathy, which consists of horizontal nystagmus, ophthalmoplegia (due to weakness of one or more extraocular muscles), cerebellar ataxia, and mental impairment